Testicular tumor in man aged 70 years is most likely to be
1. Sertoli cell tumor
2. Lymphoma
3. Yolk sac tumors
4. Teratoma

Correct answer: 2. Lymphoma

Explanation: Lymphoma is common in old age patients.